Type of cartilage seen at temporo-mandibular joint is -
1. Hyaline cartilage
2. Fibrocartilage
3. Elastic cartilage
4. All of the above

Correct answer: 2. Fibrocartilage

Explanation: Following joints have fibrocartilage :-

Articular discs of temporomandibular, sternoclavicular and inferior radio-ulnar joints.
Articular cartilages of temporomandibular, sterno-clavicular and acromio-clavicular joints.